Which of the following is useful in first trimester screening for Down's syndrome?
1. Inhibin
2. Estradiol
3. PAPP-A
4. Acetylcholinesterase

Correct answer: 3. PAPP-A

Explanation: Down's syndromeScreeningUSG markersMaternal age - Age >35, the screening test is offered.Biochemical testsUltrasonographyFirst-trimester screening for Down's syndromePAPP-A. hCG (biochemical tests)NT (nuchal translucency) (USG)PAPP-A pregnancy-associated plasma protein-decreases in Down's syndromeSerum beta hCG - elevated in Down's syndromeNuchal translucency increases in aneuploid fetus in first-trimester: 3.5 mm is significant done at 11-14 weeksSensitivity of combined NT thickness and 1st trimesterbiochemical tests are 90%.Second-trimester screening for Down's syndromeTriple test and quadruple tests are done in second trimesterat 15-20 weeksTriple test: hCG, AFP, unconjugated estriolQuadruple test: Triple test + inhibinNuchal fold thickeningMild renal pelvis dilatationEchogenic intracardiac focusEchogenic bowelSho femurSho humerus(Refer: Mudaliar and Menon's Clinical Obstetrics, 11th edition, pg no: 466)